Keratin sulfate in urine is found in
1. Hurler's syndrome
2. Hunter's syndrome
3. Morquio's syndrome
4. Sanfillipo's syndrome

Correct answer: 3. Morquio's syndrome

Explanation: (C) Morquio's syndrome > Hurler syndrome, also known as Mucopolysaccharidosis type I (MPSI), Hurler's disease, also Gargoylism, is a genetic disorder that results in the buildup of glycosaminoglycans (formerly known as mucopolysaccharides) due to a deficiency of alpha-L iduronidase, an enzyme responsible for the degradation of mucopolysaccharides in lysosomes.: Without this enzyme, a buildup of heparan sulfate and dermatan sulfate occurs in the body. Symptoms appear during childhood and early death can occur due to organ damage.> Hunter syndrome, or mucopolysaccharidosis Type II, is a lysosomal storage disease caused by a deficient (or absent) enzyme, iduronate-2-suifatase.> Morquio's syndrome (mucopolysaccharidosis IV or Morquio's) is an autosomal recessive mucopolysaccharide storage disease, usually inherited. It is a rare type of birth defect with serious consequences. When the body cannot process certain types of mucopolysaccharides, they build up or are eliminated, causing various symptoms.lt involves accumulation of keratan sulfate> Sanfilippo syndrome, or Mucopolysaccharidosis III (MPS-III) is a rare autosomal recessive lysosomal storage disease caused by a deficiency in one of the enzymes needed to break down the glycosaminoglycan heparan sulfate (which is found in the extra-cellular matrix and on cell surface glycoproteins).